Superficial veins of the upper limb are located in which plane?
1. Subcutaneous
2. Intra fascial
3. Sub fascial
4. Intramuscular

Correct answer: 1. Subcutaneous

Explanation: The major superficial veins of the upper limb are the cephalic and basilic veins. They are located within the subcutaneous tissue of the upper limb. ref - BD chaurasia 6e p81